Chalcosis is caused by?
1. Iron
2. Lead
3. Copper
4. Mercury

Correct answer: 3. Copper

Explanation: ANSWER: (C) CopperREF: Khurana 4th ed p. 493"Chalcosis refers to specific changes made by copper containing alloys in eye"Features of chalcosis are:[?] KF rings on descement membrane of cornea [?] Sunflower cataract[?] Golden brown metallic sheen plaques on the retinal pole